Which of the following is most reliable Criteria for age estimation from tooth?
1. Paradentosis
2. Transparency of root
3. Attrition
4. Cementum apposition

Correct answer: 2. Transparency of root

Explanation: Transparency of the root is the most reliable Criteria for age estimation from tooth.